True statement regarding postmortem hypostasis is/are -a) Also known as rigor mortisb) Starts within 8 hours of deathc) Present all over the bodyd) It is present on dependent parte) Starts as blotchy discolouration
1. ab
2. de
3. cd
4. bd

Correct answer: 2. de

Explanation: Postmortem hypostasis is known as liver mortis (not rigor mortis).
It starts after 1 hour of death as small discolored (blotchy) patches.
It is present an dependent part (not all over) the body.